Optic foramen is located between
1. Between greater & lesser wing of sphenoid
2. Between two roots of lesser wing of sphenoid
3. Between two roots of greater wing of sphenoid
4. Between ethmoidal and frontal bones

Correct answer: 2. Between two roots of lesser wing of sphenoid

Explanation: Optic foramen is the opening to the optic canal present between two roots of lesser wing of sphenoid.